All of the following statements regarding total anomalous pulmonary connection are true except ?
1. The total pulmonary venous blood reaches the right atrium
2. Always associated with a VSD
3. The oxygen saturation of the blood in the pulmonary artery is higher than that in the aorta
4. Infracardiac type is always obstructive

Correct answer: 2. Always associated with a VSD

Explanation: Ans. is 'b' i.e., Always associated with VSD Hemodvnamics of TAPVC o TAPVC results in the pulmonary venous blood reaching the right atrium which also receives the systemic venous blood. o This results in volume overload to right atrium Right atrial enlargement. o Larger volume of blood reaches the right ventricle -f Right ventricle enlargement. o The blood flow to the left atrium is through patent foramen ovale or ASD. o Because there is mixing of unoxygenated blood from systemic circulation and oxygenated blood from pulmonary circulation in the right atrium --> The oxygen saturation of blood in pulmonary artery is higher or identical to that in Aorta. o TAPVC can be divided into : - i) TAPVC with pulmonary venous obstruction Pulmonary venous obstruction results in pulmonary arterial hypertension. Pulmonary obstruction T back pressure -4 T Pulmonary capillary pressure T Pulmonary artery pressure Because of pulmonary venous obstruction oxygenated blood cannot reach heart -4 Cyanosis and CHF during first week of life. ii) TAPVC without obstruction (more common) In TAPVC without obstruction, pulmonary blood flow is high. Patients develops CHF at around 6-8 weeks when the fetal pulmonary resistance falls maximally and pulmonary circulation reaches the maximum. o Infracardiac type of TAPVC is always obstructive whereas cardiac and supracardiac type may be obstructive or nonobstructive.